All of the following are contraindications for rigid esophagoscopy Except
1. Trismus
2. Aortic aneurysm
3. Stricture
4. None

Correct answer: 3. Stricture

Explanation: Regular oesophageal dilatation is done for stricture. Stricture is dilated endoscopically using guidewires. Dilators are solid type with gradual increase in diameters. Dilatation should be done up to minimum 16mm diameter. Reference: SRB's Manual of Surgery, 6th Edittion, page no= 792